Disseminated intravascular coagulation is present in all except :
1. Prolonged pregnancy
2. Amniotic fluid embolism
3. Septic shock
4. Abruptio placentae

Correct answer: 1. Prolonged pregnancy

Explanation: Prolonged pregnancy